Human development index includes -a) Crude death rateb) Life expectancy at one yearc) Life expectancy at birthd) Adult literacy ratee) GDP
1. ae
2. edb
3. cde
4. bd

Correct answer: 3. cde